All of the following conditions are associated with metabolic alkalosis, except:
1. Bartter's syndrome
2. Recurrent vomiting
3. Thiazide diuretic therapy
4. Mineralocorticoid deficiency

Correct answer: 4. Mineralocorticoid deficiency

Explanation: Mineralocorticoid deficiency is associated with normal gap metabolic acidosis characterized by hyperchloremia and hyperkalemia. Ref: Tintinalli's Emergency Medicine: A Comprehensive Study Guide, 7th Edition, Chapter 19